Treatment of choice for carcinoma of lip of lessthan 1 cm is -
1. Radiation
2. Chemotherapy
3. Excision
4. Radiation and Chemotherapy

Correct answer: 3. Excision